Which of the following feature is not common between delirium and dementia?
1. Disturbance of memory
2. Hallucinations
3. Delusions
4. Fluctuating course

Correct answer: 4. Fluctuating course

Explanation: Delirium is characterized by acute onset and fluctuating course,  where as dementia patients with chronic and downhill course.